Renshaw cells are inhibitory interneurons found in:
1. Gray matter of brain
2. White matter of brain
3. Gray matter of the spinal cord
4. White matter of spinal cord

Correct answer: 3. Gray matter of the spinal cord

Explanation: Renshaw cells are inhibitory interneurons found in the gray matter of the spinal cord. They receive axonal collaterals from nearby motor neurons; it inhibits the activity of the same or related adjacent motor neurons. This recurrent inhibition by the Renshaw cell facilitates and sharpens the activity of the projecting motor neuron from which it receives the collaterals.